Step down technique is
1. Preparation from apical to middle third
2. Preparation from apical to coronal third
3. Preparation from coronal to middle third
4. Preparation from coronal to apical third

Correct answer: 4. Preparation from coronal to apical third